All of the following characteristics differentiate a typical cervical vertebrae from a thoracic vertebrae except:
1. Has a triangular vertebral canal
2. Has foramen transversarium
3. Superior articular facet is directed backwards & upwards.
4. Has a large vertebral body

Correct answer: 4. Has a large vertebral body

Explanation: D i.e., Has a large vertebral bodyCharacteristics of a typical cervical vertebrae include small & broad vertebral body, large & triangular vertebral canal, backwards & upwards facing superior articular facets downward & forward facing inferior articular facetsQ along with presence of characteristic foramen transversarium in transverse processes for the passage of vertebral artery & vein. Although the vertebral artery passes through the transverse process Cl to C6 and not through C7.